Cervicitis is caused by:a) Pseudomonusb) Staphylococcusc) Chlamydiad) Trichomonase) N. gonorrhoea
1. ab
2. bc
3. bce
4. ace

Correct answer: 3. bce

Explanation: Cervicitis refers to infection of the endocervix including the glands and stroma.
Organisms causing cervicitis
• Streptococcus
• Staphylococcus
• Gonococcus
• E. coli
• Chlamydia
Trichomonas, Candida and Herpes simplex virus cause inflammation of the ectocervix (vaginitis) and not of endocervix.